Avulsion of capsulolabral complex is seen from which part of glenoid in bankarts lesion?
1. Anteroinferior
2. Posteroinferior
3. Anterosuperior
4. Posterosuperior

Correct answer: 1. Anteroinferior

Explanation: Ans. is 'a' i.e., Anteroinferior Bankart's lesion* When the labrum of the shoulder joint is torn, the stability of the shoulder joint is compromized.* A Specific type of labral tear is called a Bankart's lesion.* A Bankart's lesion occurs when an individual sustains an anterior dislocation. As the shoulder pops out of the joint, it often causes tear of the labrum and stripping of periosteum from anterior surface (more specifically antero- inferior) of glenoid.